Stain that is usedto detect myelin
1. Luxol fast blue
2. Methylene blue
3. Both
4. None

Correct answer: 1. Luxol fast blue

Explanation: Luxol blue is used to stain myelin sheath Ref:Guyton and Hall textbook of medical physiology 12th edition,page number: 72,73